Fear of darkness is called
1. Agarophobia
2. Claustrophobia
3. Mysophohbia
4. Nyctophobia

Correct answer: 4. Nyctophobia

Explanation: Phobias:- * Acrophobia is morbid fear of high places. * Agarophobia is fear of being in a large open space. * Nyctophobia is morbid fear of darkness. * Claustrophobia is fear of staying in a closed or confined space. * Mysophobia is morbid fear of filth or contamination. * Xenophobia is fear of strangers. Ref:- Essentials of Forensic medicine Dr KS narayana Reddy 33th Edition; Pg num:- 482